Which of the following should not be given in the prophlylaxis of Dry ARMD?
1. Vitamin A
2. Vitamin C
3. Vitamin E
4. Lutein

Correct answer: 1. Vitamin A

Explanation: Ans. (a) Vitamin ARef: American Academy of Ophthalmology; BCSC, Section 12/p. 64Substantial evidence has been given by AREDS study that taking high antioxidant vitamins and minerals on regular basis can decrease the risk of AMD progression.AREDS2 study has said that vitamin A should not be given in prophylaxis as it leads to lung cancer in smokers. ARMD is common in smokers.Instead, lutein and zeaxanthin should be given.